Best contraceptive for newly married healthy couple?
1. Barrier method
2. IUCD
3. Oral contraceptive pill
4. Natural methods

Correct answer: 3. Oral contraceptive pill

Explanation: Ans. is 'c' i.e., Oral contraceptives o For newly married couples oral contraceptive pill is the method of choice. o It has many noncontraceptive benefits along with effective contraception.